The gaps between segments of DNA on the lagging strand produced by restriction enzymes are rejoined/sealed by
1. DNA ligases
2. DNA helicase
3. DNA topoisomerase
4. DNA phosphorylase

Correct answer: 1. DNA ligases

Explanation: In molecular biology, DNA ligase is a specific type of enzyme, a ligase, that facilitates the joining of DNA strands together by catalyzing the formationHelicase action in DNA replication. Helicases are often used to separate strands of a DNA double helix or a self-annealed RNA molecule using the energy from ATP hydrolysis, a process characterized by the breaking of hydrogen bonds between annealed nucleotide bases.Topoisomerases are enzymes that participate in the overwinding or underwinding of DNAPhosphorylases are enzymes that catalyze the addition of a phosphate group from an inorganic phosphate